Extracampine hallucinations term was given by
1. Eugene Bleuler
2. William Harvey
3. Robo Macinoff
4. Eden Speroff

Correct answer: 1. Eugene Bleuler

Explanation: extracampine halluciantion: hallucination that is outside the limits of the sensory field. eg- patient sees somebody standing behind them when they are looking staright ahead or hear voices talking in london whne thye are in liverpool. They can occur in healthy people as hypnogogic halluciantions bbut also in Schizophrenia or Organic conditions, including Epilepsy. Ref: Fish Psychopathology, 3e, pg 27. Extracampine halluciantion was coined by E Bleuler. Ref: Bleuler E. Extracampine hallucinationen. Psychiatrisch-Neurologische Wochenschrift, 1903.